Magnesium sulphate toxicity include all EXCEPT
1. Loss of Patellar reflex
2. Oliguria
3. Respiratory depression
4. Cardiac arrest

Correct answer: 2. Oliguria

Explanation: MgSo4 acts by inhibition of neuromuscular transmission. NOTE: we monitor urine output while patient is on MgSO4, not because it is a sign of MgSO4 toxicity, but because oliguria is secondary to PIH (glomerular endotheliosis) and decreased urine output would decrease MgSO4 clearance and increase risk of toxicity. Serum Mg2+ levels(meq/l) Clinical effects 4-7 Normal therapeutic level 8 - 10 Patellar reflex disappear 10-15 Respiratory depression 12-15 Respiratory paralysis 25 - 30 Cardiac arrest